Many drugs are used as rescue therapy for preventing the adverse effects of anticancer drugs. Folinic acid is used in:-
1. Methotrexate toxicity
2. Cisplatin toxicity
3. Doxorubicin toxicity
4. Cyclophosphamide toxicity

Correct answer: 1. Methotrexate toxicity

Explanation: DHF | DHF reductase<-------- inhibited by METHOTREXATE THF/FOLINILACID/LEVCOVORIN Thereforeto treat MTX toxicity FOLINIC ACID/LEVCOVORIN is used. B: Cisplatin Vomiting d/tcisplatin :ONDANSETRON Nephrotoxicity :AMIFOSTINE C: cardiotoxicity d/t doxorubicin : DEXRAZOXANE D: hemorrhagic cystitis d/t cyclophosphamide : MESNA